Standard treatment of appendicular mass is
1. Immediate laproscopic excision
2. Needle aspiration
3. Ochsner - Sheren regimen
4. Appendectomy

Correct answer: 3. Ochsner - Sheren regimen

Explanation: [Cl (Ochsner: sherren regimen) (1216-LB) (1215-B &L 25th)Management of a appendix mass* If an appendix mass is present and the condition of the patients is satisfactory, the standard treatment is the conservative Ochsner-Sherren regimen* It is advisable to remove the appendix after an interval of 6-8 weeksAppendicitis During Pregnancy - Appendicitis is the most common non-obstetric surgical disease of the abdomen during pregnancy.* Laparoscopic appendectomy (specifically the pneumoperitoneum) is well tolerated by the mother and fetus (669-CSDT IT)